A few days after birth, a child becomes lethargic, refuses feeds and vomits during breast feeding. On examination he is pot bellied. Benedict's test is positive in urine. What is the likely reducing sybstance present in urine:
1. Glucose
2. Fructose
3. Sucrose
4. Galactose

Correct answer: 4. Galactose

Explanation: D i.e. Galactose